Housemaids knee is bursitis of -
1. Prepatellar bursa
2. Infrapatellar bursa
3. Olecranon
4. Ischial bursa

Correct answer: 1. Prepatellar bursa

Explanation: Prepatellar bursitis is known as house maid's knee which is seen in the lower half of patella and upper half of ligamentum patella. Reference- TB of orthopaedics- Ebnezar-3rd edition